Average time taken for myocardial infarction to be completely healed is -
1. 3 weeks
2. 6 weeks
3. 12 weeks
4. 15 weeks

Correct answer: 2. 6 weeks